Substantivity of chlorhexidine remains upto
1. 4 hours
2. 8 hours
3. 12 hours
4. 16 hours

Correct answer: 3. 12 hours